A child develops blisters on exposure to sunlight' Irregular dark spots on the skin are also found' He is very likely to have a defect in which of the following mechanisms?
1. Nucleotide excision repair
2. Mismatch repair
3. Recombination repair
4. Thymine dimers

Correct answer: 1. Nucleotide excision repair

Explanation: The child in question is presenting with features of xeroderma pigmentosa, due to defect in nucleotide excision repair